Cutaneous Larva currens is a feature of
1. Ancyclostoma braziliense
2. Ancyclostoma Caninum
3. Strongyloides stercoralis
4. Loa loa

Correct answer: 3. Strongyloides stercoralis

Explanation: Cutaneous larva currens / racing larva, is a feature of strongyloides stercoralis.